Not true about narcolepsy
1. Sudden sleep attack
2. Long duration (>3 hrs) of sleep
3. Cataplexy
4. Presents in 2nd decade

Correct answer: 2. Long duration (>3 hrs) of sleep

Explanation: Classic form of Narcolepsy is characterised by Tetrad of symptoms- excessive day time sleepiness, cataplexsy, sleep paralysis and hypnogogic hallucinations. Sleep attacks leads to 10 to 20 minutes of sleep, after which patient feels refreshed, at least briefly. Ref: Synopsis of Psychiatry, 11e, pg 547.